Which fold of GIT is NOT permanent:
1. Ruga
2. Plicae semilunaris
3. Spiral Valve of Heister
4. Transverse rectal

Correct answer: 1. Ruga

Explanation: Ruga are the mucosal folds present in the stomach which disappear on distension, hence are not permanent. Plicae semilunaris/circulares are circular folds of mucous membrane and are permanent (not obliterated by distension).